Which of the following is not a feature of rhinosporidiosis
1. Bleeding polyp
2. Oral dapsone is useful in treatment
3. Excision with the knife is the treatment
4. Russel bodies are seen

Correct answer: 4. Russel bodies are seen

Explanation: Russel bodies are seen in rhinoscleroma.